Hallucination is the major side effect of :
1. Nitrous oxide.
2. Ketamine
3. Fentanyl
4. Chloroform

Correct answer: 2. Ketamine